Occulomotor nerve palsy causes all of the following EXCEPT
1. Ptosis
2. Mydriasis
3. Upward and lateral deviation of eyeball
4. Pupillary reflex lost

Correct answer: 3. Upward and lateral deviation of eyeball

Explanation: Upward & lateral deviation of eyeball doesn't happen in oculomotor nerve palsy. Oculomotor nerve (CN III) innervates all EOM except: Superior oblique (CN IV) & lateral rectus (CN VI) Paralysis of CN III results in: Ptosis (due to LPS involvement) Lateral & downward deviation of eye (LR & SO are the only muscles intact, unopposed action) Dilatation of pupil (paralysis of sphincter pupilae muscle) Loss of accommodation reflex (paralysis of ciliary muscles)